The small intestine secretes various triglyceride-rich lipoproteins, but the liver secretes only
1. Chylomicrons
2. VLDLs
3. LDLs
4. HDLs

Correct answer: 2. VLDLs

Explanation: Although both chylomicrons and VLDLs are triglyceride-rich lipoproteins, the liver, unlike the small intestine, produces only VLDLs. LDLs and HDLs are not triglyceride-rich lipoproteins. Chylomicron remnants are generated in the circulation by the metabolism of chylomicrons.